Two months after knowing that his son was suffering from leukemia, a 45 year old father presents with sleep deprivation, lethargy, headache and low mood. He interacts reasonably well with others, but he absented himself from work. The most probable diagnosis is :
1. Depression
2. Psychogenic headache
3. Adjustment disorder
4. Somatization disorder

Correct answer: 3. Adjustment disorder

Explanation: The information in this question is :

Stressor (knowledge about medical disorder in a child).
Mild depressive symptoms → low mood, sleep deprivation but normal social interaction Symptoms within 3 months of stressor.

The diagnosis is adjustment disorder.